The length of the flexible sigmoidoscope is:
1. 60 cm
2. 70 cm
3. 80 cm
4. 90 cm

Correct answer: 1. 60 cm

Explanation: Instruments Length Proctoscope 10 cm Rigid sigmoidoscope 25 cm Flexible sigmoidoscope 60 cm Colonoscope 160 cm